Histological feature of acute pyelonephritis are all except-
1. Patchy interstitialy suppurative inflammation
2. Hypercellular glomerulus Intratubular aggregates of neutrophils
3. Intratubular aggregates of neutrophils
4. Tubular necrosis

Correct answer: 2. Hypercellular glomerulus Intratubular aggregates of neutrophils

Explanation: Microscopy Interstitium: It shows patchy interstitial neutrophilic infiltration, which may later become extensive. Tubules: Intratubular aggregates of neutrophils form abscess with the destruction of the involved tubules->tubular necrosis. Glomeruli: They appear normal because they are relatively resistant to the infection Complications of acute pyelonephritis: 1. Papillary necrosis 2. Pyonephrosis 3. Perinephric abscess. Clinical Features Sudden onset of pain at the costovertebral angle, fever, and malaise. Dysuria, frequency, and urgency. Ref: RAM DAS NAYAK EXAM PREPARATORY MANUAL FOR UNDERGRADUATES 2nd ed. pg no: 617